All of the following are true for medullated nerve fibres of the retina except:
1. Appear as a whitish patch usually present around the disc
2. Are commonly seen at birth in premature children
3. Disappear in patients with optic atrophy
4. May cause enlargement of blind spot

Correct answer: 2. Are commonly seen at birth in premature children

Explanation: Ans. Are commonly seen at birth in premature children